Which of the following completely blocks oxidation and phosphorylation by blocking the flow of protons through ATP synthase?
1. Oligomycin
2. Cyanide
3. BAL
4. Carboxin

Correct answer: 1. Oligomycin

Explanation: The antibiotic oligomycin completely blocks oxidation and phosphorylation by blocking the flow of protons through ATP synthase. Reference: Harper; 30th edition; Page no: 132